Arrangement of lens from eye to source of light, in light microscope ?
1. Ocular lens : Subjective lens : Condensor lens
2. Subjective lens : Ocular lens : Condensor len
3. Condensor lens : Sujective lens : Ocular lens
4. Subjecive lens : Condensor lens : Ocular lens

Correct answer: 1. Ocular lens : Subjective lens : Condensor lens

Explanation: Ans. is 'a' i.e., Ocular lens : Subjective lens : Condensor lens